Which of the following is the location beyond which fungus does not penetrate in tinea capitis ?
1. Isthmus
2. Infundibulum
3. Stem
4. A's Fringe

Correct answer: 4. A's Fringe

Explanation: Hair Follicle Adamson's fringe/A's fringe Adamson's fringe is located at the upper margin of the keratogenous zone of the hair follicle where the nucleated hair shaft cornifies completely and gets converted to hard anucleated keratin. It marks also the area of complete keratinization of the cuticle and Henle's layer of the inner root sheath and the beginning of the stem of the follicle. In Tinea capitis, dermatophytic infection of the hair shaft is restricted to this zone and the fungi do not penetrate further down the infected hair in the bulb of the follicle.